Cillia can transport radiolabelled particle in antrum with:
1. 1-20dm/min
2. 20-30mm/sec
3. 1-20mm/ min.
4. 20-30mm/min

Correct answer: 3. 1-20mm/ min.

Explanation: Cilia can transport radiolabeled particles an average of 6mm/min, with a range of 1-20mm/min. Thus this transport can clear inhaled particles from nasal cavity in 10-20 min.